Type (s) of Inflammatory bowel disease is/are:
(A)Crohn's disease
(B)Ulcerave Coltis
(C)Toxic Coltis
(D)Amoebic coltis
1. AB
2. CD
3. CE
4. DA

Correct answer: 1. AB

Explanation: "'Inflammatory bowel disease (IBD) Q is an immune-mediated chronic intestinal condition.
Ulcerative colitis (UC) and Crohn's disease (CD) are the two major types of IBD"- Harrison 17th/1886 Forms of Inflammatory bowel disease disease
The main forms of IBD are Crohn’s disease and ulcerative colitis (UC).
Accounting for far fewer cases are other forms of IBD,
which are not always classified as typical IBD: Collagenous colitis Lymphocytic colitis Ischaemic colitis Diversion colitis Behcet’s disease indeterminate